Pityriasis Alba is seen in
1. HHV 6/7 infection
2. Tinea versicolor infection
3. Segmental vitiligo
4. Atopic dermatitis

Correct answer: 4. Atopic dermatitis

Explanation: Pityriasis alba is a hypopigmented patch with scaling usually seen over face in patients of Atopic dermatitis.